Which statin is given to an 8 years old child with heterozygous familial hypercholesterolemia?
1. Simvastatin
2. Pravastatin
3. Atorvastatin
4. Lovastatin

Correct answer: 2. Pravastatin

Explanation: Ref: Goodman and Giliman, Pharmacological Basis of Therapeutics, l/th edition and http:// guidance.nice.org.uk/CG7I and Nelson Textbook of Pediatrics, / 9th editionExplanation:"Some statins have been approved for use in children wish heterozygous familial hypercholesterolemia. Atorvastatin, lovastatin, and simvastatin are indicated for children age II or older. Pravastatin is approved for children age 8 or older. "Ref: Goodman and GilimanTREATMENT OF CHILDREN WITH HETEROZY-GOUS EHRigorous low-fat diet.Target blood cholesterol levels - (LDL-C <130 mg/dL).The Expert Panel on Blood Cholesterol Levels in Children and Adolescents (National Cholesterol Education Program) has promulgated guidelines for the consideration of cholesterol lowering medication in children at least 10 years of age.Indications for Cholesterol Lowering Medications: Expert Panel on Blood Cholesterol Levels in Children and Adolescents (National Cholesterol Education Program).o LDL-C is >160 mg/dL in the presence of a strong history of premature heart disease in the family.o LDL-C >190 mg/dL even in the absence of a positive family history.Ezetimibeo Blocks cholesterol absorption in the gastrointestinal tract.o Has a low risk of side effects, o Lowers total cholesterol by 20-30 mg/dL. o Not been evaluated by controlled clinical trials in children.HMG CoA Reductase Inhibitorso Drug of choice for treatment of FH.o Has remarkable effectiveness and acceptable risk profile.o Statins approved for use in children with heterozygous familial hypercholesterolemia are Atorvastatin, lovastatin and simvastatin (Can be used in children age 11 or older).o Pravastatin is approved for children age 8 or older.